Not a feature of triad of hepatopulmonary syndrome
1. Liver disease
2. Hypoxemia
3. Pulmonary arteriovenous shunting
4. Cardiac dysfunction

Correct answer: 4. Cardiac dysfunction